A patient presents with cough and fever. On X-ray examination, a homogenous opacity silhouetting the right heart border with ill-defined lateral margins is seen. What would be the most probable diagnosis?
1. Pneumonia affecting medial zone of right middle lobe
2. Pneumonia affecting superior zone of right lower lobe
3. Loculated pleural effusion
4. Pneumonia of anterior zone of right middle lobe

Correct answer: 1. Pneumonia affecting medial zone of right middle lobe

Explanation: Ans. a. Pneumonia affecting medial zone of right middle lobe Homogeneous paracardiac opacity in right lung, near right cardiac silhouette with ill-defined lateral border is suggestive of pneumonia affecting medial zone of right middle lobe. Silhoutte sign is very useful in localizing lung lesions as all structures forming cardiac silhouette (heart border, ascending, descending aorta, aortic knob and hemidiaphragm) are in contact with a specific portion of lung. Silhoutte Structure Lung Portion in Contact Ascending aorta, upper right heart border and upper pole of hilum Anterior segment of right upper lobe Right heart border Right middle lobe Aortic knob Apical portion of left upper lobe (posterior) Upper left heart border Anterior segment of left upper lobe Left heart border Lingula (anterior) Anterior hemidiaphragm Position of oblique fissure is best index of lower lobe volume Lower lobe (anterior)